A 26 years old G2P1L1 at 10 weeks complains of pain abdomen and bleeding per vaginum. On examination products of conception are seen partially extruding through the cervix. What is your diagnosis?
1. Inevitable abortion
2. Threatened abortion
3. Complete abortion
4. Incomplete abortion

Correct answer: 4. Incomplete abortion

Explanation: Bleeding follows partial or complete placental separation and dilation of the cervical os in incomplete abortion. The fetus and the placenta may remain entirely within the uterus or partially extrude through the dilated os.Management is Evacuation or medical termination (if stable).Reference: William's Obstetrics; 25th edition; Chapter 18; Abortion